Section defining the rape -
1. 304B IPC
2. 302 IPC
3. 375 IPC
4. 376 IPC

Correct answer: 3. 375 IPC

Explanation: Ref: Synopsis of Forensic medicine and Toxicology 28th edition (Dr.K.S.Narayana Reddy) Pg 200 As per Sec.375IPC, rape is defined as un lawful sexual inter course by a man with a woman, Against her will Without her consent With her consent, when her consent is obtained by force, fear, fraud. With or without consent when she is unsound mind or intoxicate or under 18 year of age Sec.304BIPC is Dowry death , Sec.302IPC is punishment for culpable homicide amounting to murder ,Sec.376IPC is punishment for rape.